The most frequently encountered clostridia' species in gas gangrene is
1. Clostridium botulinum
2. Clostridium welchii
3. Clostridium tetani
4. Clostridium difficile

Correct answer: 2. Clostridium welchii